Cervical dystocia is usually present at :
1. Level of external os
2. Level of internal os
3. Level of isthmus
4. Level of cervical canal

Correct answer: 1. Level of external os

Explanation: Level of external os